The bacteria frequently used as an immunomodulator is
1. Corynebacterium parvum
2. Mycobacterium marinum
3. Chromobacterium violasium
4. Flavobacterium meningosepticum

Correct answer: 1. Corynebacterium parvum

Explanation: Corynebacterium parvum, which is frequently used as an immunomodulator, is a mixture of the Propionibacterium species. Reference: Textbook of Microbiology; Anathanarayan and panicker's; 10th edition; Page no: 246